Zinc deficiency leads to all except
1. Delayed skeletal maturation
2. Impaired Immune system
3. Skeletal abnormalities
4. Excessive appetite

Correct answer: 4. Excessive appetite

Explanation: Zinc deficiency : Growth failure Sexual infantilism Loss of taste Delayed wound healing Loss of integrity of immune system Spontaneous abortions Congenital malformation Low birth weight IUGR Preterm delivery Skin lesions Depressed appetite Skeletal abnormalities Ref: Park 25th edition Pgno : 663